Which of the following peritoneal recesses is constantly present in infants but disappears with age -
1. Intersigmoid recess
2. Superior ileocecal recess
3. Inferior ileocecal
4. Superior duodenal recess

Correct answer: 1. Intersigmoid recess

Explanation: Intersigmoid recess is constantly present in the foetus and in early infancy but may disappear with age.